Which of the following is not a feature of Meckel's diverticulum?
1. Remnant of VID
2. Seen in mesenteric side
3. Contains ectopic gastric and pancreatic mucosa
4. Littre hernia is Meckel's in hernial sac

Correct answer: 2. Seen in mesenteric side

Explanation: Ans. (b) Seen in mesenteric sideRef: Bailey and Love 27th edition, Page 1253* Meckel's diverticulum is always seen on the antimesenteric side, 2 feet proximal to ileocecal junction.* In 20% cases mucosa may contain heterotopic gastric, pancreatic or colonic mucosa.* Most common complication is bleeding from ectopic gastric mucosa.